The term schizophrenia was coined by
1. Erich muir
2. Sigmund freud
3. Bluelar
4. Emil kraeplin

Correct answer: 3. Bluelar

Explanation: Emil Kraepelin: Manic-Depressive Psychosis and Dementia Praecox (dementia of the young). Eugen Bleuler - schizophrenia-"splitting" of psychic functions*. His four primary symptoms (four As) were Abnormal associations, Autistic behavior, and thinking, Abnormal affect, Ambivalence. Kurt Schneider First Rank Symptoms Second-Rank Symptoms Audible thoughts Voices arguing or discussing(commanding voices) Voices commenting on patient's actions (commenting voices) Made feelings Made impulses or drives Made volitional acts Thought withdrawal Thought insertion Thought broadcasting Delusional perception Somatic Passivity Other disorders of perception Sudden delusional ideas Perplexity Depressive and euphoric mood changes Feelings of emotional impoverishment and several others as well . pneumonic 3HMT-DP Reference: Page No.1434 chap 12.2 Phenomenology of Schizophrenia (Kaplan & Sadock's Comprehensive Textbook of Psychiatry, 9th Edition)